The subdermal plexus forms the vascular basis for -
1. Randomised flaps
2. Axial flaps
3. Mucocutaneous flaps
4. Fasciocutaneous flaps

Correct answer: 1. Randomised flaps